False about acute aluminum phosphide poisoning -
1. Subendocardial infarct
2. Produce phosphine gas
3. Inhibit mitochondrial cytochrome oxidase
4. Oesophageal stricture

Correct answer: 4. Oesophageal stricture

Explanation: Aluminium phosphide Aluminium phosphide is used as a grain preservative. In northern part of India, it is the leading cause for death due to poisoning Mechanism of Action Aluminium phosphide liberates phosphine when it comes in contact with air and moisture. It reacts with acidic media (HCL) of stomach and release phosphine gas, which is rapidly absorbed from gastrointestinal tract by simple diffusion. Phosphine is a protoplasmic poison interfering with enzymes and protein synthesis. In animal studies, phosphine has been shown to cause non-competitive inhibition of cytochrome oxidase of myocardial mitochondria Autopsy Findings * Typical garlicky odor * Congested organs * Bright fluid blood * Pleural effusion * Pulmonary edema * sub endocardial infarct,myocarditis * Bleeding diathesis * Gastric mucosa shows shedding * Kidney shows acute tubular necrosis * Liver shows fatty change, congestion, edema, inflammatory infiltrate in portal tract and centrizonal necrosis. REF;THE SYNOPSIS OF FORENSIC MEDICINE:KS NARAYANA REDDY;28th EDITION;PAGE NO 296